Which of the following is the main factor for the ductal closure postnatally
1. Increase in partial pressure of oxygen (PaO2)
2. Increase in systemic vascular resistance
3. Increase in circulating prostaglandin levels
4. Decrease in pulmonary venous resistance

Correct answer: 1. Increase in partial pressure of oxygen (PaO2)

Explanation: Oxygen is the most important controlling ductal closure. Note: Gestational age also appears to play an important role; the ductus of a premature infant is less responsive to oxygen, even though its muscular is developed. Hence, patent ductus arteriosus (PDA) is more common in premature infants. Ref: Nelson textbook of pediatrics 21st edition Pgno: 2345